Massive blood transfusion is defined as:
1. Whole blood volume in 24 hours
2. Half blood volume in 24 hours
3. 40% blood volume in 24 hours
4. 60% blood volume in 24 hours

Correct answer: 1. Whole blood volume in 24 hours

Explanation: Massive transfusion is defined, in adults, as replacement of whole blood volume in 24 hours or >50% of blood volume in 4 hours.